Dysdiadochokinesia
1. Inability to Perform Rapid Alternating Movements.
2. Failure of Progression in Talking.
3. Intention Tremor
4. Tremor of the Eyeballs

Correct answer: 1. Inability to Perform Rapid Alternating Movements.

Explanation: Dysdiadochokinesia: Inability to Perform Rapid Alternating Movements.Dysarthria: Failure of Progression in Talking.Intention Tremor: When a person who has lost the cerebellum performs a voluntary act, the movements tend to oscillate, especially when they approach the intended mark, first overshooting the mark and then vibrating back and forth several times before settling on the mark. This reaction is called an intention tremor or an action tremor, and it results from cerebellar overshooting and failure of the cerebellar system to "damp" the motor movements.Cerebellar Nystagmus: Tremor of the Eyeballs.Ref: Guyton; 13th edition; Chapter 57; Contributions of the Cerebellum and Basal Ganglia to Overall Motor Control